The earliest change in glaucoma is:
1. Papilloedema
2. Hazy cornea
3. Baring of the blind spot
4. Sickle scotoma

Correct answer: 3. Baring of the blind spot

Explanation: Ans. Baring of the blind spot